Among the following, which of the following 5-PDE inhibitor has the longest duration of action?
1. Sildenafil
2. Vardenafil
3. Tadalafil
4. Udenafil

Correct answer: 3. Tadalafil

Explanation: Ans. is 'c' i.e., Tadalafil o Tadalafil is the longest acting phosphodiesterase inhibitor used for erectile dysfunction. Its half life is 17.5 hours.